Egg shell calcification is seen in all except:
1. Silicosis
2. Sarcoidosis
3. Coal worker's pneumoconiosis
4. Osteogenic sarcoma

Correct answer: 4. Osteogenic sarcoma

Explanation: Ans: d (Osteogenic sarcoma)Egg shell calcification of lymph node in chest X-ray seen in:* Silicosis* Sarcoidosis* Coal worker's pneumoconiosis* Lymphoma following radiotherapy* Histoplasmosis* Amyloidosis* Scleroderma